Population explosion is defined as population growth rate of more than_______ per year.
1. 2
2. 1.75
3. 1.8
4. 1.5

Correct answer: 1. 2

Explanation: Ans. a (2.0) (Ref. Park PSM 22nd/pg. 443)Relation between growth rate and population:RatingAnnual rate of growth %Number of years required for the population to double in sizeStationary populationNo growth Slow growthLess than 0.5More than 139Moderate growth0.5 to 1.0139-70Rapid growth1.0 to 1.570-47Very rapid growth1.5 to 2.047-35"Explosive" growth2.0 to 2.535-28"Explosive" growth2.5 to 3.028-23